Metastatic calcification is seen in:
1. Cysts
2. Atheroma
3. Normal tissues
4. Infarcts

Correct answer: 3. Normal tissues

Explanation: Ans. C: Normal tissues